Deep vein thrombosis is seen in all except one -
1. Prolonged immobilization
2. Subungual melanoma
3. Pregnancy
4. Major surgical operation.

Correct answer: 2. Subungual melanoma